All of the following area associated with 'Episodic' weakness, except -
1. Channelopathy
2. Lambert Eaten Syndrome
3. Hyperphosphatemia
4. Hyperkalemia

Correct answer: 3. Hyperphosphatemia